What will be reversible damage?
1. Fev1 decrease by 50 % by SABA
2. Fev1 increase by 12% by SABA
3. Fev1 decrease by 25% by SABA
4. Fev1 decrease by 5% by SABA

Correct answer: 2. Fev1 increase by 12% by SABA

Explanation: In this question primarily we talking about asthma= We give salbutamol FEV1 becomes Normal Change of FEV1 before & after giving salbutamol (SABA) should be at least 12% to call it Bronchial Asthma.